In children, which of the following congenital heart disease presents with absence of sinus arrhythmia?
1. Fallot's tetralogy
2. PDA
3. ASD
4. Ebstein's anomaly

Correct answer: 3. ASD

Explanation: Sinus arrhythmia is a cyclic increase in normal heart rate with inspiration and decrease with expiration. It results from reflex changes in vagal influence on the normal pacemaker and disappears with breath holding, or increase of heart rate. It has no clinical significance. It is common in both the young and the elderly. ASD is found in approximately 6% of children with congenital heart disease who survive beyond the first year of life. After bicuspid aortic valve, it is the most common form of congenital heart disease among adults. ASDs have a female-to-male ratio of approximately 2:1. The mode of transmission is best explained in most instances on a multifactorial basis, in which the risk would be approximately 2.5% for first-degree relatives of a single affected family member In a child with Large ASD the filling of the two ventricles remains constant throughout the respiration cycle. Hence sinus arrhythmia is absent or slight and this therefore is a sign of ASD. Ref: rown D.W., Fulton D.R. (2011). Chapter 83. Congenital Heart Disease in Children and Adolescents. In V. Fuster, R.A. Walsh, R.A. Harrington (Eds), Hurst's The Heart, 13e.